A patient with heart failure developed ventricular arryhthmia. Treatment is/are -a) Encainideb) Flecainidec) Intracardiac Defibrilationd) Beta-blockerse) Amiodarone
1. abd
2. cde
3. bde
4. ade

Correct answer: 2. cde